Okazaki segments are required for :
1. DNA synthesis
2. RNA synthesis
3. Protein synthesis
4. None of the above

Correct answer: 1. DNA synthesis

Explanation: A i.e. DNA synthesis